Chubby cheeks, eyes are blue and staring at the sky is a feature of
1. Cherubism
2. Fibrous dysplasia
3. Ectodermal dysplasia
4. Sicca syndrome

Correct answer: 1. Cherubism